Placido disc is useful for detecting:
1. Microcornea
2. Megalocornea
3. Corneal scars
4. Keratoconus

Correct answer: 4. Keratoconus

Explanation: Placido disc Placido disc is a type of video-keratoscopy which helps understand details about the corneal surface and anterior curvature -In normal cornea , there is no distortion of reflected pattern - In keratoconus , there is distortion of reflected pattern